Diffuse mesothelioma is seen with -
1. Asbestos
2. Arsenic
3. Tobacco use
4. TB

Correct answer: 1. Asbestos

Explanation: - asbestos enters the body by inhalation and fine dust may be deposited in the alveoli. - the dust deposited in the lungs causes pulmonary fibrosis leading to respiratory insufficiency and death. - it also causes mesothelioma of the pleura or peritoneum. Reference: Park's textbook of preventive and social medicine, 23rd edition, pg no:807